Which of the following committees suggested training in preventive and social medicine for doctors?
1. Srivastava committee
2. Bhore committee
3. Kartar Singh committee
4. Mudaliar committee

Correct answer: 2. Bhore committee

Explanation: Bhore committee formed in 1946 proposed changes in medical education to include three months training in preventive and social medicine to produce social physicians. Ref: Park 22nd edition pg: 816.